AMPA receptor blockers
1. Phenobarbitone
2. Topiramate
3. Lamotrigine(LPT)
4. All the above

Correct answer: 4. All the above

Explanation: From this picture- 4th group drugs -it is clear that AMPA receptors are blocked by all the 3 drugs.AMPA is a type of glutamate receptors.